The neurotransmitters; nor-adrenaline, adrenaline and dopamine act through which of the following receptors?
1. Single pass transmembrane receptors
2. Four pass transmembrane receptors
3. Seven pass transmembrane receptors
4. Ligand gated receptors

Correct answer: 3. Seven pass transmembrane receptors

Explanation: Ans. (C) Seven pass transmembrane receptors(Ref: KDT 8th/e p54, 55)These neurotransmitters (A, NA, DA) act through G-protein coupled receptors which are also known as seven-transmembrane domain receptors, heptahelical receptors and serpentine receptors.